Beta-lactam ring is present in all of the following except:
1. Sulbactam
2. Imipenem
3. Vancomycin
4. Cephalexin

Correct answer: 3. Vancomycin

Explanation: Ans. C: Vancomycin The beta-lactam ring is part of the structure of several antibiotic families, the principal ones being the penicillins, cephalosporins, carbapenems, and monobactams, which are, therefore, also called beta-lactam antibiotics. These antibiotics work by inhibiting bacterial cell wall synthesis. This has a lethal effect on bacteria, especially on Gram-positive ones.